Gustilo Anderson classification is used for -
1. Compound fractures
2. Closed fractures
3. Distal end radius fractures
4. Femur head fractures

Correct answer: 1. Compound fractures

Explanation: Ans. is 'a' i.e., Compound fractures Compound fractureo Compound fracture, also called open fracture, in which fracture communicates with external environment, i.e., overlying soft tissue coverage (skin and muscles) is breached,o Open fractures are typically caused by high energy injuries such as car crashes, falls, or sports injuries,o Gustila and A ndersion classified open fracture into following types.Classification of open fractures (Gustilo and Anderson, 1976)o Type I:Open fracture with clean wounds less than 1 cm long.o Type II:Open fractures with a laceration more than 1 cm long usually up to 10 ems, with extensive soft tissue damage, flaps or avulsions.o Type III::Open segmental fractures, open fractures with extensive soft tissue damage, traumatic amputationo Category Special:Open fractures with gun shot wounds, farm injury or vascular injury- requiring repair.o Type III fractures are further classified into : -IIIA :- Extensive soft tissue injury' but no periosteal stripping.IIIB - Extensive soft tissue injury with periosteal stripping.IIIC :- Vascular injury requiring surgical repair.